Maximum cholesterol is seen in
1. VLDL
2. LDL
3. HDL
4. Chylomicrons

Correct answer: 2. LDL

Explanation: Ref: Textbook of Medical Biochemistry Dr (Brig) MN Chatterjea Rana Shinde, 8th Edition, page no: 446